Which is the longest DNA of hepatitis B virus -
1. P gene
2. X gene
3. S gene
4. C gene

Correct answer: 1. P gene